Branched septate hyphae found on cornmeal smear in a case of corneal ulcer is -
1. Candida
2. Mucor
3. Aspergillus
4. Histoplasma

Correct answer: 3. Aspergillus

Explanation: Ans. is 'c' i.e., Aspergillus . Septate hyphae and involvement of the cornea favours the diagnosis of the Aspergillus . Aspergillus can cause Aspergillus keratitis after trauma to the cornea. The hyphae of Aspergillus are septate & branched. . Mucor : It can cause infection of eye but its hyphae are not septate. . Candida : Candida can also involve the eye (it usually involves retina). Its infectious form is yeast not hyphae. . Histoplasma : Histoplasma has septate hyphae but it does not involve the eye.